Following required for Normal growth:
1. Protooncogenes
2. Tumour suppressor genes
3. DNA repair genes
4. All

Correct answer: 4. All

Explanation: A i.e. Proto-oncogenes; B i.e. Tumor suppressorgene; C i.e. DNA repair genes